In human body, methionine is synthesized from ?
1. Cysteine
2. Proline
3. Threonine
4. None

Correct answer: 4. None

Explanation: Ans. is 'd' i.e., None Methionine is an essential amino acid, cannot be synthesized in body.